Which is not a mycobacteria tuberculosis complex organism?
1. M. Africanum
2. M. Tuberculosis
3. M. Bovis
4. M. Kansasii

Correct answer: 4. M. Kansasii

Explanation: M. kansasii REF: Jawett's 24t} edition chapter 24 Runyon Classification of Mycobacteria: Classification Organism TB complex M tuberculosis M africanum M bovis Photochromogens M asiaticum M kansasii M marinum M simiae Scotochromogens M flavescens M gordonae M scrofulaceum M szulgai Nonchromogens M avium complex M celatum M haemophilum M gastri M genavense M malmoense M nonchromogenicum M shimoidei M terrae M trivale M ulcerans M xenopi Rapid growers M abscessus M fortuitum group M chelonae group M phlei M smegmatis M vaccae